A surgeon inadvertently sections the recurrent laryngeal nerve during a procedure. Which of the following muscles would retain its innervation subsequent to this injury?
1. Cricothyroid
2. Lateral cricoarytenoid
3. Posterior cricoarytenoid
4. Thyroarytenoid

Correct answer: 1. Cricothyroid

Explanation: The recurrent laryngeal nerve is a branch of the vagus nerve, which innervates all of the intrinsic laryngeal muscles, except for the cricothyroid muscle.